Deep transverse arrest is MOST commonly seen in which of the following type of pelvis?
1. Anthropoid pelvis
2. Android pelvis
3. Gynaecoid pelvis
4. Platypelloid pelvis

Correct answer: 2. Android pelvis

Explanation: The android pelvis has a wedge-shaped inlet, a narrow fore pelvis, a flat posterior segment, and a narrow sacrosciatic notch, with the sacrum inclining forward. The side walls converge, and the bones are medium to heavy in structure. Diameter of engagement is transverse or oblique. Anterior rotation is difficult in android type. Chance of arrest is present. Ref: Textbook of Obstetrics by D C Dutta, 6th edition, Page 346.